Backwash ileitis is seen in
1. Ulcerative colitis
2. Crohn's disease
3. Colonic carcinoma
4. heal polyp

Correct answer: 1. Ulcerative colitis

Explanation: Ans. is 'a' i.e., Ulcerative colitis Ulcerative colitis always involves the rectum and extends proximally in continuous fashion to involve part or all part of the colon. Involvement of terminal ileum in ulcerative colitis is called backwash ileitis